60 degree angle of Z plasty causes how much increase in length?
1. 25%
2. 50%
3. 75%
4. 100%

Correct answer: 3. 75%

Explanation: (c) 75%ExplanationZ plasty--relationship between angle of Z plasty and elongation:- 30degrees--25%elongation- 45degrees--50%elongation- 60degrees--75%elongation- 75degrees--100%elongation- 90degrees--125%elongation